For exhumation, the order should be given by
1. Judicial magistrate
2. Executive magistrate
3. Supt. off Police
4. Judl. I class Magistrate

Correct answer: 2. Executive magistrate

Explanation: Exhumation is to be carried out under the orders of the appropriate authority. District Magistrate/Sub-Divisional Magistrate/Executive Magistrate are empowered to order for the exhumation. Ref : Krishnan vij Textbook of Forensic medicine and Toxicology 5th edtion ; pg no - 28